The police bring in a murder suspect who has been in a gunfight with a police officer. The suspect was struck by a bullet in the arm; his median nerve has been damaged. Which of the following symptoms is likely produced by this nerve damage?
1. Waiter's tip hand
2. Claw hand
3. Wrist drop
4. Ape hand

Correct answer: 4. Ape hand

Explanation: Injury to the median nerve produces the ape hand (a hand with the thumb permanently extended). Nerve injured Effect Median nerve Ape hand (a hand with the thumb permanently extended) Radial nerve Wrist drop Upper trunk of the brachial plexus Waiter's tip hand/Policeman tip hand Ulnar nerve Claw hand and flattening of the hypothenar eminence or atrophy of the hypothenar muscles